Disadvantage of ketamine is
1. Increased heart rate
2. Increased ICT
3. Delirium
4. All of the above

Correct answer: 4. All of the above

Explanation: When administered to adult patients as a sole anaesthetic agent, ketamine frequently causes emergency reaction characterized by anxiety, hallucination, delirium. Moreover, ketamine shows cardiovascular stimulant property (increases heart rate and BP), increases salivary and bronchial secretions, and may increase intracranial, intraocular and pulmonary pressure. All of these features have been advocated as limitations for its usefulness.(Refer: stoelting's pharmacology and physiology in anaesthetic practice, 5th edition, pg no.294)